All of the following scientist had won a Nobel prize except?
1. W.C. Roentgen
2. Godfrey Hounsfield
3. Paul lauterbur
4. Charles T. Dotter

Correct answer: 4. Charles T. Dotter

Explanation: Paul lauterbur and Mansfield won the Nobel prize in medicine for MRI in 2003. W.C. Roentgen got the first noble prize in physics in 1901. Sir Godfrey Hounsfield got the noble prize for physiology/Medicine in 1979 along with Allan McLeod Cormack. Charles T. Dotter is father of interventional radiology.